A 25-year-old male who is IV drug user presents with a 3-week history of worsening lethargy and confusion. O/E- PR: 130bpm and BP: 120/80. CVS examination: raised JVP with large v-waves and a loud systolic murmur. A palpable, pulsatile liver is felt when hepato-jugular reflex is attempted. What type of murmur is most fitting with this patient's presentation?
1. Functional murmur
2. Tricuspid stenosis
3. Pulmonary stenosis
4. Tricuspid regurgitation

Correct answer: 4. Tricuspid regurgitation

Explanation: SIGN OF TRICUSPID REGURGITATION : Large V wave Loud systolic murmur Pulsatile liver Note: - When you read pulsatile liver think in terms of TR = MCC of TR is Functional TR